Apthous like ulcers are seen in:
1. Bechets syndrome
2. Sweet syndrome
3. PFAPA (periodic fever acute pharyngitis apthous stomatitis)
4. All of the above

Correct answer: 4. All of the above